Commonest presentation of primary biliary cirrhosis-
1. Pruritis
2. Pain
3. Jaundice
4. Fever

Correct answer: 1. Pruritis